Which of the following cements have anti cariogenic property:
1. ZOE
2. Calcium Hydroxide
3. Zinc silicophosphate
4. Zinc phosphate

Correct answer: 3. Zinc silicophosphate